Chronic arsenic poisoning does not cause -
1. Mixed sensory & motor neuropathy
2. Mesothelioma
3. Hyperkeratosis of skin
4. Anemia

Correct answer: 2. Mesothelioma

Explanation: Ans. is 'b' i.e., Mesothelioma Chronic arsenic poisoningo First stage of gastrointestinal & nutritional disturbance:Gradual emaciation is earliest signAnorexia, nausea, vomiting, diarrhoea & abdominal crampso Second catarrhal stageFeatures of common cold, bronchial catarrhal, coughing & hoarseness o Third stage of skin rashSkin irritation, vesicular eruption resembling nettle rashPatchy brown raindrop type pigmentationHyperkeratosis of palms & solesFalling of hair & brittleness of nailWhite transverse band or Mee's line on nailo Fourth stage of nervous disturbanceSensory motor neuropathy causing tingling, numbness & paresisEncephalopathyo Bone marrow suppression, anemia, weight loss, hepatomegaly, cirrhosis, nephritis, thrombocytopenia, leukemia, skin, lung, liver, bladder & kidney cancer and exfoliative dermatitis & diabetes